Normal platelet count is/are seen in an-
1. DIC
2. Von willebrand's disease
3. Microangiopathic hemolytic anemia
4. Spleenomegaly

Correct answer: 2. Von willebrand's disease

Explanation: Normal platelet count is seen in haemophilia A,B and Von willebrand disease and decreased in disseminated intravascular coagulation reference :textbook of Pathology 7th edition author Harsha Mohan page number 317 Robbins ,9/e pg 455